Treatment of mycosis fungoides is
1. Cladramycin
2. Adriamycin
3. FU cream
4. Full skin electron therapy

Correct answer: 4. Full skin electron therapy

Explanation: Mycosis fungoides is a cutaneous T cell lymphoma Etio: - Unknown, sometime HTLV I virus- It is MC cutaneous lymphoma Histological findings : 1. Sezary cells - Sezary cell are malignant lymphocytes with increased cell size and convoluted nucleus aka Cerebriform nucleus 2. Epidermo tropism - affection to move towards the epidermis3. Pautrier's microabscess Prognosis: poor (fatal) T/t - Radiotherapy - full skin electron beam therapy